A male 45 years old presents to the dental clinic with pain in lower back tooth region. Intraoral examination reveals carious 36. Root canal treatment done and zirconia crown has to be placed. Dentist makes an impression with polysulfide impression material.
All of the following are the disadvantages of this material except?
1. High tear resistance
2. Stretching leads to distortion
3. Stains clothing
4. Obnoxious odor

Correct answer: 1. High tear resistance

Explanation: Key Concept: High tear resistance is an advantage of Polysulfide impression materials.
Characteristics of Elastomeric Impression Materials: